Oncogene was first identified in
1. Epstein-Barr Virus
2. Echovirus
3. Adenovirus
4. Retrovirus

Correct answer: 4. Retrovirus

Explanation: (D) Retrovirus > Cellular Protooncogenes were first discovered in their mutated or "oncogenic" forms as "passengers" within the genome of acute transforming retroviruses by the 1989 Nobel laureates Harold Varmus and Michael Bishop.